Tyndallization is a method of
1. Growing bacteria in pure culture
2. Sterilization
3. Inoculation of media
4. Preserving cultures

Correct answer: 2. Sterilization